Liver in hemochromatosis is stained by ?
1. Masson Fontana
2. Prussain blue
3. Masson trichrome
4. Congo red

Correct answer: 2. Prussain blue

Explanation: Ans. is 'b' i.e., Prussian blueo Fontana-Masson method : most commonly used. It relies upon the melanin granules to reduce ammoniacal silver nitrate.o Ped's iron stain/Prussian blue method : It is the classic method for demonstrating iron in tissues. The section is treated with dilute hydrochloric acid to release ferric ions from binding proteins. These ions then react with potassium ferrocyanide to produce an insoluble blue compound (the Prussian blue reaction).o Masson trichrome stain : It helps to highlight the supporting collagenous stroma in sections from a variety of organs.o Congo red : It stains amyloid in the tissue.